Desire for sexual intercourse with dead bodies is called
1. Frotteurism
2. Necrophilia
3. Undinism
4. Transvestism

Correct answer: 2. Necrophilia

Explanation: Necrophilia In this perversion, there is a desire for sexual intercourse with dead bodies. Decomposition, foul smell and coldness acts as stimulus, The perve finds this as a safe process since there is no danger of rejection from a dead body. Ref: FORENSIC MEDICINE AND TOXICOLOGY Dr PC IGNATIUS THIRD EDITION PAGE 312